Persistent contracted stage is seen in?
1. Rigor mortis
2. Algor mortis
3. Heat stiffening
4. Cold stiffening

Correct answer: 3. Heat stiffening

Explanation: Ans. is 'c' i.e., Heat stiffeningoRigor mortis in tropical countries (e.g. India), it begins 1-2 hours after death, takes further 2 hours to develop and lasts for 18-36 hours in summer and 24-48 hours in winter.oAlgor mortis is cooling of the body after death. After death, dead body behaves like an inert substance and therefore, if atmospheric temperature is low, body loses its heat by conduction, convection, radiation and evaporation, so as to attain the atmospheric temperature, i.e. the body cools. No cooling of dead body occurs if atmospheric temperature is higher than that of body. Cooling of body starts 1/2 to 1 hour after death.oHeat stiffening is permanent.oOn warming the part of body, cold stiffening disappears.oGas (putrefactive) rigidity disappears on incision due to release of gases.Differential diagnosis of post mortem stiffening1. Rigor mortis#It is defined as contraction, stiffening, shortening and opacity of muscles after death. It is preceded by a period of relaxation. It occurs after molecular (cellular) death. In tropical countries (e.g. India), it begins 1-2 hours after death, takes further 2 hours to develop and lasts for 18-36 hours in summer and 24-48 hours in winter. In temperate countries, it begins in 3-6 hours, takes further 2-3 hours to develop and lasts for 2-3 days.2. Heat stiffening#In body exposed to extensive heat (>65degC) there results stiffening and flexion of all joints, known as 'Pugilistic or boxers or defence posture', due to denaturation and coagulation of proteins. However, heat stiffening is permanent (unlike rigor mortis which passes off after few hours.)3. Cold stiffening#Due to exposure to freezing temperature, body becomes stiff due to freezing (solidification) of fats and body fluids. On warming the part of body, cold stiffening disappears, differentiating it from rigor mortis.4. Putrefactive (gas) stiffening#During decomposition, body part becomes rigid because of collection of gases in subcutaneous tissues and the pressure exerted by these gases. It can be differentiated from rigor mortis as other signs of putrefaction are present and putrefactive rigidity disappears on incision due to release of gases.5. Cadaveric spasm (instantaneous rigor or cataleptic rigidity)#The muscles, which were in contraction or spasm at the time of death, continue to be in spasm even after death, without the stage of primary relaxation.